Herpes virus:
1. Acquires its envelope from nuclear membrane
2. Acquires its envelope from nucleolar membrane
3. Acquires its envelope from cytoplasmic membrane
4. None of the above

Correct answer: 1. Acquires its envelope from nuclear membrane

Explanation: Herpes viruses replicate in the host cell nucleus, and both replication and assembly occur in the nucleus. The herpes virus encodes for several glycoproteins that facilitate viral attachment, fusion, and immune evasion. 
The virus buds from nuclear membrane and is released by exocytosis and cell lysis.

Parija SC. Textbook of Microbiology & Immunology. Elsevier Health Sciences; 2014. Page:473